Cushing syndrome is characterized by all except *
1. Hypoglycemia
2. HT
3. Proximal myopathy
4. Centripetal obesity

Correct answer: 1. Hypoglycemia

Explanation: Cushing's syndrome characterised by centripetal obesity , hypertension, fatigability, weakness, edema , glucosuria( Harrison 17 pg 2254)